Which of the following is the most common fungal infection in immunocompetent patient -
1. Candida
2. Aspergillus
3. Cryptococcus
4. Penicillium

Correct answer: 1. Candida